Which of the following is not a branch of Arch of aorta -
1. Branchiocephalic trunk
2. Left subclovion artery
3. Left common caroc artery
4. Right subclavian artery

Correct answer: 4. Right subclavian artery

Explanation: Branches of arch of aorta are

i. Brachiocephalic trunk
ii. Left common carotid artery
iii. Left subclavian artery

 Right common carod artery and right subclavian artery arise from brachiocephalic trunk (Brachiocephalic trunk divides into right common carod and right subclavian arteries)